False statement about trigeminal nerve is
1. Caries sensation from face and scalp
2. Has motor branch
3. Arise from C8 nerve root
4. Composed of spinal nucleus

Correct answer: 3. Arise from C8 nerve root

Explanation: Trigeminal nerve has 4 nuclear which are main sensory nucleus (carrying sensation from face & anterior scalp motor nucleus (supplying muscles of mastication, tensor tympani /palatini, mylohyoid & digastric anterior belly), mesencephalic nucleus and spinal nucleus (extending in medulla oblongata & spinal cord upto C2 segment)